Robert Koch is associated with all of the following EXCEPT:
1. Discovery of bacillus tuberculosis
2. Discovery of vibrio cholerae
3. Discovery of leprosy bacillus
4. Postulated Koch's criteria

Correct answer: 3. Discovery of leprosy bacillus

Explanation: Ans. C i.e. Discovery of leprosy bacillus Hansen (1874) described leprosy bacillus Robert Heinrich Herman Koch December 11, 1843 - May 27, 1910 He is considered to be the founder of modern bacteriology He is known for his role in identifying the specific causative agents of tuberculosis, cholera, and anthrax and for giving experimental support for the concept of infectious disease. His research led to the creation of Koch's postulates, a series of four generalized principles linking specific microorganisms to particular diseases which remain today the "gold standard" in medical microbiology As a result of his groundbreaking research on tuberculosis, Koch received the Nobel Prize in Physiology or Medicine in 1905